Pautrier's micro-abcess is a histological feature of
1. Sarcoidosis
2. TB
3. Mycosis fungoides
4. Ptyriasis lichenoides chronica

Correct answer: 3. Mycosis fungoides

Explanation: In histopathology of mycosis fungoides shows collection of atypical lymphocytes( Pautriers micro abscesses) in epidermis( a feature of epidermotropism) and a band of lymphoid cells in the upper dermis. From illustrated synopsis of dermatology and sexually transmitted diseases neena khanna 5th edition page no 405,406